Which of the following pair of drugs are metabolized by same Cytochrome enzyme
1. Omeprazole and Clopidogrel
2. Phenytoin and Tacrolimus
3. Paracetamol and Warfarin
4. Omeprazole and Warfarin

Correct answer: 1. Omeprazole and Clopidogrel

Explanation: Both are metabolized by CYP2C19.